Which of these is a Nephritic syndrome?
1. Minimal change disease
2. Membranous Glomerulopathy
3. Post infectious Glomerulonephritis
4. Focal segmental glomerulosclerosis

Correct answer: 3. Post infectious Glomerulonephritis

Explanation: The nephritic syndrome is characterized by hematuria, oliguria with azotemia, proteinuria, and hypertension. The most common causes are immunologically mediated glomerular injury; lesions are characterized by proliferative changes and leukocyte infiltration. Acute postinfectious glomerulonephritis typically occurs after streptococcal infection in children and young adults but may occur following infection with many other organisms; it is caused by deposition of immune complexes, mainly in the subepithelial spaces, with abundant neutrophils and proliferation of glomerular cells. Most affected children recover; the prognosis is worse in adults. Rapidly progressive glomerulonephritis (RPGN) is a clinical entity with features of the nephritic syndrome and rapid loss of renal function. Nephrotic syndrome is caused by a derangement in glomerular capillary walls resulting in increased permeability to plasma proteins. The manifestations of the syndrome include: Massive proteinuria, with the daily loss of 3.5 gm or more of protein (less in children) Hypoalbuminemia, with plasma albumin levels less than 3 gm/dL Generalized edema Hyperlipidemia and lipiduria